Least effective tuba! sterilization procedure Is :
1. Laparoscopic young's ring method
2. Hysteroscopic occlusion
3. Pomeroy's method
4. Vaginal fimbriectomy

Correct answer: 2. Hysteroscopic occlusion

Explanation: Hysteroscopic occlusion